Ground glass hepatocyte is seen in which hepatitis?
1. Hepatitis A
2. Hepatitis B
3. Hepatitis D
4. Hepatitis E

Correct answer: 2. Hepatitis B

Explanation: Ans. (b) Hepatitis B(Ref: Robbins 9th/pg 837; 8th/pg 852)Diagnostic hallmark of Chronic Hepatitis B is "ground- glass" hepatocytes (cells with endoplasmic reticulum swollen by HBsAg)